Koebner's phenomenon is seen in all EXCEPT:
1. Psoriasis
2. Pemphigoid
3. Warts
4. Lichen planus

Correct answer: 2. Pemphigoid

Explanation: Ans. B. Pemphigoida. Koebner's phenomenon is seen in:i. Psoriasisii. Wartsiii. Lichen planusb. Koebner's phenomenon is also called isomorphic response.